Wilson disease can present as
1. Dystonia
2. Fulminant hepatitis
3. Repeated spontaneous abortion
4. All of the above

Correct answer: 4. All of the above

Explanation: (D) All of the above # Hepatic decompensation is associated with elevated serum bilirubin, reduced serum albumin and coagulation factors, ascit-js, peripheral edema, and hepatic encephalopathy.> In severe hepatic failure, hemolytic anemia may occur because large amounts of copper are released into the bloodstream.> The association of hemolysis and liver disease makes Wilson disease a likely diagnosis.> The three main neurologic problems are of a movement disorder type: dystonia, incoordination, and tremor.> Dysarthria and dysphagia are common.> Some female patients have repeated spontaneous abortions, and most become amenorrheic prior to diagnosis. Cholelithiasis and nephrolithiasis occur with increased frequencies.# Fulminant Hepatitis: When hepatic insufficiency progress from onset of symptoms to hepatic encephalopathy within 2 or 3 weeks, it is termed fulminant hepatic failure.> A less rapid course, extending up to 3 months, is called subfulminant failure.> Much rarer causes, but just as life-threatening, are ischemic hepatic necrosis, obstruction of the hepatic veins, massive malignant infiltration of the liver, Wilson disease, hyperthermia (heat stroke), and microvesicular steatosis syndromes, particularly acute fatty liver of pregnancy